Quindine is used to treat
1. Hypertension
2. Angina pectoris
3. Atrial fibrillation
4. Congestive heart failure

Correct answer: 3. Atrial fibrillation